Incubation period of ebola virus is -
1. 5-20 hours
2. 20-40 hours
3. 5-20 days
4. 20-40 days

Correct answer: 3. 5-20 days

Explanation: Ans. is 'c' i.e., 5-20 days * Ebola virus is a RNA virus, belongs to Filoviridae.* The virus causes Ebola hemorrhagic fever, a fatal disease.* Incubation period is 2-21 days.* Ebola virus begins to effect infected individuals with flue-like symptoms. There is a quickly oncoming fever, achy muscle, and headache, which are soon followed by bloody vomit and diarrhea. Some days later, victims can begin to bleed through the eyes, nose, or mouth. A hemorrhagic rash can develop on the entire body, which also bleeds. Muscle pain and swelling of the pharynx also most victims.* Patients are diagnosed by testing of urine or saliva with an ELISA test, however the results are not always accurate.* Due to the extensive amount of bleeding, most patients will die of hypovolemic shock and/or systematic organ failure within 2 to 21 days of contracting after about 14 days and rare able to survive the virus.